Graft between member of the same family species but of different genetic constituent is known as:
1. Xenograft
2. Autograft
3. Allograft
4. Isograft

Correct answer: 3. Allograft

Explanation: Ans. c (Allograft). (Textbook of Microbiology by Anantanarayan 6th/165 Type of graftPointsa)OrthotopicApplied in anatomically normal sites (skin grafts)b)HeterotopicApplied in anatomically abnormal sites (thyroid in subcutaneous pocket)c)Vital graftsLiver grafts expected to survive and function physiologically in recipientd)Structural/state graftNonliving transplant (bone/artery) provide scaffolding on which recipient lays new tissue.e)AutograftOrgan/tissue taken from an individual and grafted on himself.f)IsograftGraft taken from an individual and placed on another individual of same genetic constitution.g)Homo/allograftGraft between 2 genetically non-identical members of species.h)Xenograft/heterograftGraft between members of different species